Middle lobe of lung is best visualized by:
1. AP view
2. Right anterior oblique view
3. PA view
4. Lordotic view

Correct answer: 4. Lordotic view

Explanation: Ans: d (Lordotic view) Ref: Grainger, 4th ed, p 276; William Brant, p. 329Best view for right middle lobe is Lordotic view.Some important views and structures demonstratedRAO (Right anterior oblique)-Right lung, left atrium, gall bladder, mitral valveLAO (Left anterior oblique)-Tracheal bifurcationRPO(Right posterior oblique)-Right retrocardiac spaceLordotic view-For apex, lingular lobe, right middle lobe of lungReverse lordotic view-To detect interlobar effusion.Various types of X-ray films* Expiratory film is required in -pneumothorax and foreign body* Inspiratory film is required in chest X-ray PA view.* Renal scan-done in prone position.* Barium meal in hiatal disorder-done in trendelenberg positionViews1. Oblique view- Cpondylolisthesis, scaphoid.2. Von Rosen view- Congenital dislocation of hip.3. Sky line view- patella.4. Stryker's view- Recurrent subluxation/dislocation of shoulder.5. Lateral skull view- Sella tursica, sphenoid sinus6. Water's view(occipitomental)- maxillary sinus, maxillary antrum and floor of orbit.7. Caldwell view(occipitofrontal)-frontal sinuses, superior orbital fissure, ethmoidal sinus.